Which of the following ultrastructural finding is more specific for irreversible injury?
1. Ribosomal detachment from endoplasmic reticulum
2. Formation of phagolysosomes
3. Cellular swelling
4. Amorphous densities in mitochondria

Correct answer: 4. Amorphous densities in mitochondria

Explanation: The hallmark ultrastructural features of irreversible cell injury are: cell membrane defects, mitochondrial swelling and calcium accumulation and nulear chromatin clumping. Morphologic forms of reversible cell injury are :Cellular swellingFatty changeHyaline changeMucoid changeUltrastructural changes that occur in hydropic swelling phase of reversible injury are:Dilatation of endoplasmic reticulumDetachment of polysomes from the surface of RERMitochondrial swellingFormation of blebs on plasma membraneLoss of fibrillarity of nucloelus